Which cranial nerve is not transmitted by superior orbital fissure?
1. 2
2. 3
3. 4
4. 5

Correct answer: 1. 2

Explanation: Ans. A 2Ref: Netter's Clinical Anatomy, 3rd ed. pg. 442Structures transmitted via the superior orbital fissure* Cranial nerve III, IV, VI (ophthalmic nerve) and VI* Inferior ophthalmic veinThe optic nerve is transmitted via the optic canal. The optic canal transmits optic nerve, ophthalmic artery and central retinal vein.